A middle aged man presented with blood in the sputum. Artery responsible for bleeding in hemoptysis is?
1. Bronchial artery
2. Pulmonary artery
3. Intersegmental artery
4. Intercostal collaterals

Correct answer: 1. Bronchial artery

Explanation: Arteriographic studies in patients with active hemoptysis have shown that the systemic circulation (bronchial arteries) is primarily responsible for the bleeding in approximately 92% of cases. The bronchial arteries, which originate either from the aorta or from intercostal arteries and are therefore part of the high-pressure systemic circulation, are the source of bleeding in bronchitis or bronchiectasis or with endobronchial tumors. Ref: Irwin and Rippe's Intensive Care Medicine edited by Richard S. Irwin, James M. Rippe, 2008, Page 589 ; Harrison's 17th ed table 34-1